Bone forming tumors are -a) Osteosarcomab) Osteoid osteomac) Giant cell tumourd) Osteoblastomae) Chondrosarcoma
1. abd
2. bcd
3. abc
4. ab

Correct answer: 1. abd

Explanation: Bone forming tumors 

Benign : - Osteoma, Osteoid osteoma, Osteoblastoma.
Malignant : - Osteosarcoma